Pseudo ligature marks are seen in all the following conditions except
1. Ligature strangulation
2. Obese persons
3. Infants
4. Tight jewellery

Correct answer: 1. Ligature strangulation

Explanation: Pseudo ligature marks : Skin folds in infants and obese persons Jewellery or clothing after decomposition